Parasympathetic supply is from
1. C234
2. T234
3. L234
4. S234

Correct answer: 4. S234

Explanation: Parasympathetic division is also called craniosacral division and it is composed of cranial nerves 3,7,9,10 and sacral 2,3,4. See figure 17-3 Ref: Ganong's review of medical physiology; 23rd edition; pg:263